Which rtf the following is true about Lambda phage?
1. It cause mad cow disease
2. Lysogenic to lytic conversion cannot occur
3. Lysogenic form incorporates in host DNA and remain dormant
4. Lytic phase incorporates in host DNA proliferate and causes rupture of cell

Correct answer: 3. Lysogenic form incorporates in host DNA and remain dormant

Explanation: Ans. c. Lysogenic form incorporates in host DNA and remain dormant In the lysogenic phage the phage virus does not immediately cause the lysis of the cell, instead it integrates into the host genome."In (he lysogenic phase the phage virus does not immediately cause the lysis of the ceil, instead it integrates into the host genome. The phage D.XA in this repressed state is called a prophage (because it is not a phage but it has the potential to produce phage). The integrated state of phage D.XA is termed prophage, whereas, the process is known as tysogency and the bacteria harbouring the prophage are called lysogenic bacteria."Lambda Phage life Cycle in the HostVirulent or Lytic phaseLysogenic phase* The phage virus takes over the cellular machinery of the host and starts producing viral proteins necessary for the synthesis of new viruses.* In the lysogenic phase the phage virus does not immediately cause the lysis of the cell, instead it integrates into the host genome.* The phage DNA in this repressed state is called a prophage (because it is not a phage but it has the potential to produce phage). Lambda Phage life Cycle in the HostVirulent or Lytic phaseLysogenic phase* New viruses assemble in the host cell and the host bacteria lyse and release progencv virions.* The integrated state of phage DNA is termed prophage, whereas, the process is known as lysogencv and the bacteria harbouring the prophage are called lysogenic bacteria.* It replicates synchronously with the host virus causing no harm to it.* Two new daughter cells are formed each containing the host cell gene and the prophage gene.* On exposure to ultraviolet light or other agents the lysogenic phase undergoes induction, i.e. The phase DNA is excised from the host cell and it undergoes lytic cycle.